In hand injury first structure to be repaired should be
1. Muscle
2. Bone
3. Skin
4. Nerve

Correct answer: 2. Bone

Explanation: For musculoskeletal injuries, early total care allows definitive fixation of all unstable long bone, spinal and pelvic fractures within 36 hours of injury. This facilitates nursing care, allows early mobilisation of the patient and reduces pulmonary complications and length of stay on intensive care. If a sequence of fracture fixations is required, at the conclusion of each procedure the surgeon and anaesthetist should determine whether the patient's physiological status has been maintained sufficiently to allow the next procedure, or whether the patient should return to critical care for a further period of resuscitation. Ref: Bailey and love 27th edition Pgno : 326 Sequence of repair in Hand injuries Bone shortening and stabilization/Fixation Extensor tendon repair Flexor tendon repair Arterial anastomosis Nerve repair Venous anastomosis Skin/Wound closure Pneumonic: BE FAN of VeinS Ref: Master techniques in orthopaedic surgery series by Morgan and cooney (2008) Pgno : 487